Widened neural foramina is frequently seen in:
1. Neurofibromatosis
2. Tuberous sclerosis
3. Sturge - Weber syndrome
4. Klipple - Fiel syndrome

Correct answer: 1. Neurofibromatosis

Explanation: Widened neural foramina is frequently seen in Neurofibromatosis.